Rhinophyma is associated with which of the following:
1. Hypertrophy of sebaceous gland
2. Infection of hair follicles
3. Congenital deformity of the nose
4. Hypertrophy of sweat gland

Correct answer: 1. Hypertrophy of sebaceous gland

Explanation: Ans. (a) Hypertrophy of sebaceous glandRef: PL Dhingra 5th/ 159, 461RHINOPHYMA / POTATO NOSE / RUM NOSE / COPPER'S NOSE / TOPPER'S NOSE / BRANDY NOSE* Benign tumor due to hypertrophy of sebaceous glands of tip of nose.* Seen in cases of long-standing acne rosacea.* Precipitated by: Spicy food, Heat, Alcohol* Treatment: Laser (CO2) Excision with skin grafting and Avoidance of alcohol.